Coagulase-negative staphylococci includes all of the following except
1. Staph epidermidis
2. Staph haemolyticus
3. Staph intermedius
4. Staph saprophyticus

Correct answer: 3. Staph intermedius

Explanation: Besides staphylococcus aureus, a few other coagulase positive species are Staphylococcus intermedius and Staphylococcus hyicus. These are animal parasites and do not infect humans. Coagulase-negative staphylococci are Staphylococcus epidermidis, staphylococcus hemolyticus, and Staphylococcus saprophyticus. They are the major component of the normal component of the normal flora of human body. Staphylococcus epidermidis is a common cause of stitch abscess. Staphylococcus saprophyticus can cause urinary tract infection in sexually active young women. Ref: Textbook of Microbiology; Ananthanarayanan and Panicker; 10th Edition; Page No: 208